Pipe stem appearance in barium enema is seen in:
1. Crohns disease
2. Ulcerative colitis
3. Schistosomiasis
4. Carcinoma colon

Correct answer: 2. Ulcerative colitis

Explanation: Ans. Ulcerative colitis